Health guide works at the level of
1. Village
2. Sub - centre
3. PHC
4. CHC

Correct answer: 1. Village

Explanation: Village health guide (VHG)- Preferably a female, who is the permanent resident of the community and has minimal formal education upto 6th standard. -Training at : PHC (200 hours in 3 months) -Duties of VHGs: 1) Treatment of simple ailments 2) First aid 3) Mother and child health (with Family planning) 4) Health education 5) Sanitation -National target : 1 VHG per village (1000 rural population)